Chromophobe variant of renal cell carcinoma is associated with -
1. VHL gene mutations
2. Trisomy of 7 and 17 (+7, +17)
3. 3 p deletions (3p-)
4. Monosomy of 1 and Y (-1, -Y)

Correct answer: 4. Monosomy of 1 and Y (-1, -Y)